Which among the following is the function of ghrelin?
1. Stimulation of appetite
2. Suppression of appetite
3. Stimulation of sleep
4. Suppression of sleep

Correct answer: 1. Stimulation of appetite

Explanation: Ghrelin is a potent secretagogue of pituitary growth hormone (but not adrenocorticotropic hormone, follicle-stimulating hormone, luteinizing hormone, prolactin, or thyroid-stimulating hormone). Ghrelin appears to be an orexigenic regulator of appetite (i.e., when ghrelin is elevated, appetite is stimulated, and when it is suppressed, appetite is suppressed). Ref: Dempsey D.T. (2010). Chapter 26. Stomach. In F.C. Brunicardi, D.K. Andersen, T.R. Billiar, D.L. Dunn, J.G. Hunter, J.B. Matthews, R.E. Pollock (Eds), Schwartz's Principles of Surgery, 9e.